The type of receptors present on T cells is-
1. IgG
2. IgD
3. CD4
4. Prostaglandins

Correct answer: 3. CD4

Explanation: T cell receptor for antigen: The TCR is the recognition molecule for T cells. The TCR is a transmembrane heterodimeric protein containing two disulfide-linked chains. It is composed of two different classes of TCR called: alpha-beta (a and b) and gamma-delta (g and d). The majority of the T cells contain the ab TCR phenotype. However, a smaller percentage of T cells express the g d TCR. The ab T cells are subdivided by their surface markers: CD4 or CD8. They recognize peptide antigens presented by MHC molecules on the surfaces of APC's (antigen-presenting cells) The g d T cells are primarily located in the epithelial linings of the reproductive and GI tracts.(aiims nov. 2020). Theyrecognize different type of antigenswithout the requirement of MHC Prostglandins( eicosanoids) are the lipid compounds acting as mediators of pain and inflamation .they have diverse action such as bronchodilation ,vasodilataion etc.. IgG AND IgD are immunoglobolins involved in defence mechanism